Anagen effluvium is induced by all except –
1. Radiation
2. PEM
3. Anticancer drug
4. Prolonged labor

Correct answer: 4. Prolonged labor

Explanation: Prolonged labor induces telogen effluvium (not anagen effluvium).
Radiation, anticancer drugs and PEM cause anagen effluvium.